Greenish black discharge from breast is seen in:
1. Duct ectasia
2. Intraductal papilloma
3. Ca breast
4. Paget disease of nipple

Correct answer: 1. Duct ectasia

Explanation: Ans: a (Duct ectasia) Ref: Bailey & Love, 24th p. 828Greenish black discharge from breast is seen in duct ectasiaDischarges from nipple 1) Discharges from the surface* Paget's disease* Skin disease (eczema, psoriasis)* Rare causes (e.g.: chancre)3) Discharge from more than one ducta) Blood stained- Carcinoma- Ectasia- Fibrocystic diseaseb) Gmmous- Duct ectasiac) Purulent- Infectiond) Serous- Fibrocystic disease- Duct ectasia- Carcinomae) Milk- Lactation- Rare causes- Hypothyroidism/ pituitary tumour2) Discharge from a single ducta) Blood stained- Intraductal carcinoma- Intraductal papilloma- Duct ectasiab) Serous (any colour)- Fibrocystic disease- Duct ectasia- Carcinoma